Which of the following gram-positive organism is most common cause of UTI among sexually active women
1. Staphylococcus epidermidis
2. Staphylococcus aureus
3. Staphylococcus saprophyticus
4. Enterococcus

Correct answer: 3. Staphylococcus saprophyticus

Explanation: Staphylococcus saprophyticus is gram-positive and coagulase-negative staphylococci. Staphylococcus saprophyticus may be present on the normal human skin and the periurethral area and can cause urinary tract infection, particularly in the sexually active women. The infecting strains are usually sensitive to most common antibiotics except nalidixic acid. Staphylococcus saprophyticus is novobiocin resistant. Reference: Textbook of Microbiology; Anathanarayan and panicker's; 10th edition; Page no: 208